Kenny packs were used in the treatment of:
1. Poliomyelitis
2. Muscular dystrophy
3. Polyneuropathies
4. Nerve injury

Correct answer: 1. Poliomyelitis

Explanation: Poliomyelitis: Bed rest; as physical activity & trauma increase risk of paralysis & optimum position of limbs--to prevent deformity Relief of pain & muscle spasm: Hot moist packs applied to muscles (sister Kenny's treatment); Physiotherapy Rehabilitation: Physical, emotional and psychological.